The mucoperichondrial flap in septoplasty is made on
1. Alar cartilage
2. Septal cartilage
3. Maxilary spine
4. Sphenoidal spine

Correct answer: 2. Septal cartilage

Explanation: The mucoperichondrial flap is elevated on one side over the quadrangular septal cartilage.Indication for surgery in DNS- Symptomatic DNS- nasal obstruction, epistaxis, headache, recurrent sinusitis.In SMR, the mucoperichondrial flap is elevated on both the sides of the septal cartilage.Incision- Freer`s incision in septoplasty, Killian`s in SMR.Ref: Hazarika; 3rd ed; Page no: 283